Universal antidote includes all the following except
1. Activated charcoal
2. Magnesium oxide
3. Sodium sulphate
4. Tannic acid

Correct answer: 3. Sodium sulphate

Explanation: - Universal antidote is a mixture of Activated charcoal, tannic acid & magnesium oxide. - It is a combination of physical and chemical antidotes; used in those cases where the nature of ingested poisons is unknown or when it is suspected that two or more poisons were taken. - Activated charcoal, tannic acid & magnesium oxide: 2 :1 :1